All of the following are trypsin inhibitors, except
1. Alpha - 1 antitrypsin
2. Alpha - 1 antiproteinase
3. Enterokinase
4. Egg - white

Correct answer: 3. Enterokinase

Explanation: A trypsin inhibitor is a type of serine protease inhibitor that reduces the biological activity of trypsin. Trypsin is an enzyme involved in the breakdown of many different proteins, including as part of digestion in humans and other animals. As a result, protease inhibitors that interfere with its activity can have an antinutritional effect.a1-Antiproteinase, a 394 residue glycoprotein that makes up >90% of the a1 fraction of plasma proteins, is the principal serine protease inhibitor (serpin) or Pi in human blood. Formerly called a1-antitrypsin, a1-antiproteinase inhibits trypsin, elastase, and other serine proteases by associating with them andforming an inactive covalent complex.egg white is also a trypsin inhibitorReference: Harpers 30th edition page no 679